The most recent advance in noninvasive cardiac output monitoring is the use of –
1. PA catheter
2. Thermodilution technique
3. Echocardiography
4. Electrical impedance cardiography technology

Correct answer: 4. Electrical impedance cardiography technology

Explanation: PA catheter & thermodilution technique are invasive procedure.
Echo is noninvasive old technique to measure cardiac output.
Recent noninvasive advance to measure C.O. is electrical impedance cardiography technology